Mild dilated fixed pupil seen in –
1. Acute congestive glaucoma
2. Iridocyclitis
3. Chronic congestive glaucoma
4. Open angle glaucoma

Correct answer: 1. Acute congestive glaucoma

Explanation: In acute congestive glaucoma, pupil is semidilated (mild dilated), vertically oval and fixed.